Omega shaped epiglottis is seen in ____________
1. Laryngomalacia
2. Epiglottitis
3. Tuberculosis
4. Carcinoma of epiglottis

Correct answer: 1. Laryngomalacia

Explanation: In laryngomalacia direct laryngoscopy shows elongated epiglottis, curled upon itself (omega-shaped), floppy aryepiglottic folds and prominent arytenoids. Pediatric Epiglottis is omega-shaped and arytenoids relatively large covering significant portion of the posterior glottis.